CSF rhinorrhoea occurs most commonly due to fracture of:
1. Tegmen tympani
2. Cribriform plate
3. Frontal sinus
4. Sphenoid sinus

Correct answer: 2. Cribriform plate

Explanation: (b) Cribriform plate(Ref. Cummings, 6th ed., 805)The most common site of traumatic CSF rhinorrhoea is fracture of lateral lamella of cribriform plate. The other mentioned site's fractures can also cause CSF rhinorrhoea/otorhinorrhoea.